Treatment of choice for depression with suicidal attempt:
1. TCA's
2. TCA's + Antipsychotics
3. SSRI's + Antipsychotics
4. ECT

Correct answer: 4. ECT

Explanation: Electroconvulsive therapy is the treatment of choice for severe depression or depression with suicidal attempts.